Which one of the following is not a transport or binding protein?
1. Erythropoietin
2. Ceruloplasmin
3. Lactoferrin
4. Transferrin

Correct answer: 1. Erythropoietin

Explanation: Ans. is 'a' ie Erythropoietin (Ref: Harper, 26/e, p609, p620, p583, Ganong 22/e, p488)Erythropoietin is a plasma protein that acts as a hormone. It's the major regulator of human erythropoiesis.Other Options.Ceruloplasmin - transports copper.Transferrin - transports iron.Lactoferrin - binds iron.